All of the following mechanisms might account for a reduced risk of upper genital tract infection in users of progestin - releasing IUDs, except:
1. Reduced retrograde menstruation
2. Decreased ovulation
3. Thickened cervical mucus
4. Decrease incidence of surgical abortion

Correct answer: 2. Decreased ovulation

Explanation: Reducing ovulation will not have an effect on the incidence of PID. All other factors are helpful in reducing the physical transport of bacteria like the thick cervical mucus. Decrease incidence of surgical abortions by prevention of unwanted pregnancy Reduction of menstruation with progesterones will eventually also reduce the amount of Retrograde menstruation.